Which of the following is the most serious and life-threatening blood dyscrasias caused with a drug:
1. Aplastic anemia
2. Megaloblastic anemia
3. Thrombocytopenia
4. Hemolytic anemia

Correct answer: 1. Aplastic anemia